The parvocellular pathway, from the lateral geniculate nucleus to the visual cortex, carries signals for the detection of
1. Movement, depth and flicker
2. Color vision, shape and fine details
3. Temporal frequency
4. Luminance contrast

Correct answer: 2. Color vision, shape and fine details

Explanation: The parvocellular pathway, from the lateral geniculate nucleus (Layers 3-6) to the visual cortex, carries signals for the detection of colour vision, texture, shape and fine details.